A 50 years old female with 50 kg body weight suffered from burns after pressure cooker blast, involving 45% of total body surface area. How much fluid should be given in first 8 hours?
1. 4 litres
2. 5 litres
3. 6 litres
4. 4.5 litres

Correct answer: 4. 4.5 litres

Explanation: Resuscitation formulas Formula Crystalloid volume Colloid Volume Free water Parkland 4 mL / Kg per % TBSA None None Brooke 1.5 mL/Kg per % TBSA burn 0.5 mL/Kg per % TBSA burn 2.0 L Galveston (Pediatric) 5000 mL/m2 burned area + 1500 mL/m2 total area None None Parkland Formula: Calculates disease fluid to be replaced in first 24 hrs. 24 hrs. fluid requirement = 4 ml x Body wt. (kg) x % BSA (Burn surface Area) -Half in 1st 8 hours -Next half in subsequent 16 hours From the given question: % BSA= 45 %Body wt. (kg) = 50 kg- 4 x 50 x 45= 9,000 ml In first 8 hours = 4.5 litres